Fundus of stomach is supplied by which of the following artery
1. Celiac artery
2. Splenic artery
3. Left gastric artery
4. Left gastroepiploic artery

Correct answer: 2. Splenic artery

Explanation: * Fundus of stomach is supplied by splenic artery through its short gastric arteries. * The lesser curvature is supplied: Left gastric artery, a direct branch from the coeliac trunk. Right gastric artery, a branch of the common hepatic artery. * The greater curvature is supplied by: Left gastroepiploic artery, a branch of the splenic artery. Right gastroepiploic artery, a branch of the gastroduodenal artery. Fig:-Blood supply of stomach